Craniotabes is seen in following except?
1. Rickets
2. Syphilis
3. Osteogenesis imperfecta
4. Thalassemia

Correct answer: 4. Thalassemia

Explanation: Ans. is 'd' i.e., Thalassemia Craniotabes is seen in o Rickets o Hydrocephalus o Osteogenesis imperfecta o Syphilis